Ovary develops from all except
1. Coelomic Epithelium
2. Yolk sac endoderm
3. Gonadal ridge mesenchyme
4. Urogenital sinus

Correct answer: 4. Urogenital sinus

Explanation: Ovary develops from 3 major cellular sources

Primordial germ cells
Coelomic epithelial cells
Mesenchymal cells from gonadal ridge.